True about varicella vaccine is-
1. Poorly immunogenic
2. Duration 4-6 months
3. Avoid salicylates for 4-6 weeks
4. Given to child < 12 months when they do not have chicken pox

Correct answer: 3. Avoid salicylates for 4-6 weeks

Explanation: chicken pox vaccine:- Live attenuated vaccine Recommended for children between 12-18 months of age who do not have had chicken pox. Monovalent vaccine-0.5 ml one/two doses each by subcutaneous injection. 2 dose schedule adviced for all persons aged> 13 yrs with a minimum interval of 6weeks/3months for children and 4/6 weeks for adults. Combination vaccine- 9-12 months old children. 2doses. Minimum interval being 4 weeks. Duration of immunity-10yrs. Adverse reactions- tenderness , erythema,fever, maculopapular/vesicular rash. Contraindicated in persons allergic to neomycin. Following vaccination,salicylates should be avoided for 6 weeks to prevent Reye's syndrome. {Reference: park's textbook of preventive and social medicine, 23rd edition, pg no.146}